Which of the following is not a commensal of body -
1. Staph aureus
2. Mycobacterium tuberculosis
3. Candida albicans
4. Corynebacterium

Correct answer: 2. Mycobacterium tuberculosis

Explanation: Ans. is 'b' i.e., Mycobacterium tuberculosis Common natural flora at various site of body ResidentTransient floraSkinCorynebacterium, Micrococcus,Coagulase negative staphylococci,PropionobacteriuntyPityrosporrum, Demodex follicularumStaph aureus, viridansStreptococci group A streptococci,Enterococcus Malassezia,E.coliy Proteus, Klebsiella,Candida, Trichophyton.Mouth & oropharynxStr. viridans, Coagulase negative staph.,Hemophillus, Peptostreptococci,Bacteriodes, Prevotella, Vellionella,Non-meningococcal neisseria, Fusobacterium,ActinomycesGroup A Streptococcus, LactobacillusN. meningitidis, Candida, CMV, HSV,Moraxella, Eikenella corrodens.Nose & NasopharvnxCoagulase negative staph., Corynebacterium,Strep, viridansNon-meningococcal & Meningococcal neisseria,Staph aureus, Str. pneumoniae, MorexellaVaginaLactobacillus, Streptococcus, Prevotella,Coagulase negative staphylococci,Gard. vaginaliSy ActinomycesCandida, Trichomonas vaginalis,Group B streptococci, Enterococcus.EyeCoagulase negative staph, Micrococci,Hemophillus, CorynebacteriumBacillus, Strep viridans, Propiono bacterium,Staph aureus, str. pneumoniaeStomach Streptococci, Lactobacillus, H. PyloriSmall intestineLactobacillus, Streptococcus, Vellionella,Prevotella, Porphyromonas, BifidobacterBacteroides, Clostridium, EnterobacteriaceaseCandida, Entamoeba coli, E.Nana,Trichomonas Hominis,Blastocystis hominisLarge intestineBilidobactor, Peptostreptococci, EnterococcusLactobacillus, Vellionella, Eubacterium,Fusobacterium, Prevotella, Porphyromonas,Bacteroides, Clostridium, EnterobacteriaceaeCandida, Corynebacterium, Pseudomonas,MAC, Entamoeba coli, E.nana,Trichomonas Hominis, Enterovirus,Blastocystis hominisUrethraCorynebacterium, Strept viridans,Coagulase negative staph, LactobacillusM. smegmetis, Enterococcus, Mycoplasma,Neoplasma, Bacteroides, Fusobacterium